Treatment of choice of thoracic actinomycosis is:
1. Amphotericin B
2. Cotrimoxazole
3. Penicillin
4. Itraconazole

Correct answer: 3. Penicillin

Explanation: Ans. is 'c' Penicillin Actinomycosis occur at different sites such as oro cervicofacial, thoracic, abdominal and pelvic.The drug of choice for all types of actinomycosis is penicillin.